Which muscle causes retraction of scapula ?
1. Serratus anterior
2. Levator scapulae
3. Rhomboideus major
4. Supraspinatus

Correct answer: 3. Rhomboideus major

Explanation: Ans. is 'c' i.e., Rhomboideus major Movements of scapula Muscles causing movements Elevation Trapezius (upper part), levator scapulae Depression Pectoralis minor, serratus anterior Protraction Serratus anterior, pectoralis minor Retraction Rhomboideus major Rhomboideus minor, Trapezius Forward rotation of inferior angle(for overhead abduction) Trapezius (upper fibers), serratus anterior (lower fibers) Backward rotation Levator scapulae, rhomboideus major and minor